True about Meniere's disease:
1. Tinnitus
2. Episodic vertigo
3. Deafness
4. All

Correct answer: 4. All

Explanation: Meniere's Disease is Characterised by Episodic vertigo (accompanied by nausea vomitting and vagal disturbances like abdominal cramps, diarrhea and bradycardia) Fluctuating deafness of sensorineural type Fluctuating tinnitus. Aural fullness. Emotional disturbances, headache and anxiety. Pulsatile tinnitus is seen in glomus jugulare, AV shunts, aneurysms, stenotic arterial lesions. It may also occur in secretory otitis media. In the early stages of disease most patients are well in between the attack. As the disease progresses patients may have persistent hearing loss, tinnitus and postural imbalance between the attacks of vertigo Some patients in the later stages develop drop attacks k/a Tumarkin or otolithic crisis due to otolith dysfunction During this attack patient simply drops without a warning. There is no associated vertigo or loss of consciousness